100 Core Health Indicators refers to
1. Sustainable Developmental Goals
2. Millennium Developmental Goals
3. Global Reference List
4. Health for all

Correct answer: 3. Global Reference List

Explanation: Global Reference list is a standard set of 100 core indicators prioritized by global community to provide concise information on the health situation and trends, including responses at National and Global levels.